Vallecula sign is seen in ?
1. TB laryngitis
2. Vocal nodule
3. Inverted papilloma
4. Acute epiglottitis

Correct answer: 4. Acute epiglottitis

Explanation: Ans. is 'd' i.e., Acute epiglottitis There are two important radiological signs in acute epiglottitis :? Thumb sign Vollecula sign